Bacteria showing antigenic variation-
1. Yersinia
2. Bordetella
3. Brucella
4. Borrelia

Correct answer: 4. Borrelia

Explanation: Borellia cause Relapsing fever Reason for relapse is antigenic variation by changing outer surface protein. Borellia readily undergoes antigenic variation reason for relapse